Which of the following is not a true statement
1. Vitamin B3 deficiency can manifest as depressive psychosis
2. Vitamin E deficiency can manifest as spinocerebellar ataxia
3. Vitamin B2 deficiency can manifest as Burning foot syndrome
4. Vitamin B6 deficiency can manifest as microcytic anemia

Correct answer: 3. Vitamin B2 deficiency can manifest as Burning foot syndrome

Explanation: Vitamin B5 (Pantothenic acid) deficiency can manifest as Burning foot syndrome (Nutritional melalgia)